All of the following Neurophysiological defects are likely to result from right lobe involvement, except:
1. Visuospatial defects
2. Anosognosia
3. Dyscalculi
4. Spatial Dysgraphia

Correct answer: 3. Dyscalculi

Explanation: Answer is C (Dyscalculi) Dyscalculi is a feature of categorical/dominant hemisphere involvement or left lobe involvement Visuospatial defects, Anosognosia and Spatial dysgraphia are all features of non dominant / representative hemisphere involvement or right lobe involvement Categorical Dominant Hemisphere Lesion Representative Non-Dominant Hemisphere lesion (Sequential Analytical Process & Language) (Visuospatial processing) Dysphasia/Aphasia (difficulty with words) * Neglect of contralateral side - Expressive / Motor (Braco's) * Spatial disorientation - Sensory /Receptive Receptive (Wernicke's) * Anosognosia Dyslexia (difficulty with words) * Dressing Apraxia (Apraxia is a misnomer) Dysgraphia (difficulty with drawing) (Problem results from visuospatial disorientation of body parts to clothing) Dyscalculia (difficulty with calculations) * Constructional Apraxia (Apraxia is a misnomer) Dyspraxia (difficulty to perform complex (Inability to copy complex shapes due to visuospatial disorientation) motor tasks) * Astereognosis * Afferent Dysgraphia (Spatial Dysgraphias) * Impaired musical skills (tonal perception) * Impaired non-verbal memory